Major surfactant is
1. Dipalmytoil lecithine
2. Dipalmytoil cephalin
3. Dipalmytoil serine
4. Dipalmytoil inositol

Correct answer: 1. Dipalmytoil lecithine

Explanation: Dipalmytol lecithin in is the major surfactant Ref: guyton and hall textbook of medical physiology 12 edition page number:311,312,313